Cementogenesis begins after how many days of root end resection:
1. 6 days.
2. 10-12 days.
3. 28 days.
4. 8 weeks.

Correct answer: 2. 10-12 days.